Which of the following is NOT an end artery:
1. Central artery of retina
2. Artery of wilkie
3. Appendicular artery
4. Splenic artery

Correct answer: 4. Splenic artery

Explanation: Splenic artery itself is not an end artery - splenic branches of splenic artery are end arteries. Splenic branches do not have an anastomosis once they enter the substance of spleen. Splenic artery branches to stomach and pancreas, do anastomose within the substance of the respective organ (not end arteries). An end artery (or terminal artery) is the only supply of oxygenated blood to a specific portion of tissue. It does not anastomose with the neighbors arteries. There is no collateral circulation present besides the end arteries. Any block leads to iscahemia and infarction. Note: Functional end arteries have anatomical anastomosis existing but is incapable of providing a sufficient supply of blood (Ineffectual anastomoses). Functional end arteries supply segments of the brain, liver, kidneys, spleen and intestines; they may also exist in the heart.